Drugs used for ovulation induction are:
1. mifeprestone
2. Clomiphene citrate
3. levonorgestrel
4. oc pills

Correct answer: 2. Clomiphene citrate

Explanation: Ovulation induction is done with clomiphene citrate with a dose of 50mg/day to maximum 250mg daily,if the ovulation is not induced by the lower dose. The actual starting day of its administaion in the follicular phase varies between day 2 and day5. Therapy is given for 5days. Mechanism of action: Clomiphene citrate is anti-estrogenic as well as weakly estrogenic. It blocks the estrogen receptors in the hypothalamus. This results in increased GnRH pulse amplitude causing increased gonadotropin secretion from the pituitary. Reference: DC Dutta's textbook of Gynaecology-7th edition-page no 199.